Dislocation of lens is seen in all the following conditions except -
1. Congential Rubella
2. Marchesani's Syndrome
3. Marfan Syndrome
4. Homocystimuria

Correct answer: 1. Congential Rubella

Explanation: Causes of ecopia lentis (dislocation or subluxation of lens) i) Homocystinuria v)Hyperlysinemia ii) Marfan syndrome vi)Sulp;hite oxidase deficiency iii)Weil-Marchesani syndrome vii)Stickler syndrome iv)Ehler Danlos syndrome viii)Trauma ix) Consecutive (Ref; Khurana 7th/e p.222 & 4th/e p.202, 203)